MDRD (Modification of Diet in Renal Disease) formula for estimation of GFR does not include which of following?
1. Age
2. Sex
3. Race
4. Body weight

Correct answer: 4. Body weight

Explanation: Answer- D. Body weightMDRD Formula includes:AgeSex (Multiply by 0.742 for women)Race (Multiply by l.2l for African Americans)